Slit shaped nipple seen in
1. Duct ectasia
2. Duct pappiloma
3. Paget's disease
4. CA breast

Correct answer: 1. Duct ectasia

Explanation: Answer- A. Duct ectasiaDuct ectasia is dilatation of lactiferous ducts associated with periductal inflammation.Chronic inflammation and scarring will lead to indrawing and slit-shaped inversion of the nipple.If secondary infection supervenes, a mammary duct fistula can also develop.